Mechanism of action of Oseltamivir and Zanamivir is:-
1. DNA polymerase inhibition
2. Inhibition of viral mRNA
3. Blocking viral uncoating
4. Neuraminidase inhibition

Correct answer: 4. Neuraminidase inhibition

Explanation: Oseltamivir acts by inhibiting influenza virus neuraminidase enzyme which is needed for release of progeny virions from the infected cell. Other neuraminidase inhibitor includes Zanamivir & Peramivir. These are used against Flu Virus (Bird flu/swine Flu). Drugs like Amantadine and Rimantadine are viral uncoating inhibitors. Route of administration of neuraminidase inhibitors in influenza: Zanamivir: Inhalational Oseltamivir: Oral Peramivir: Intravenous